Average daily breast milk output during first 6 months ?
1. 100-200 ml
2. 200-300 ml
3. 300-400 ml
4. 500-600 ml

Correct answer: 4. 500-600 ml

Explanation: Ans. is 'd' i.e., 500-600 ml Under normal conditions, Indian mothers secrete 450 - 600 ml of milk daily Maximum output of milk is at 5 - 6 months (730 ml/ day) after which the output constantly declines. At 12 months the output is 525 ml/day -Park p. 455